All of the following conditions are associated with palpable purpura, EXCEPT:
1. Giant cell arteritis
2. Henoch Schonlein Purpura
3. Wegner granulomatosis
4. Polyarteritis nodosa

Correct answer: 1. Giant cell arteritis

Explanation: Differential diagnosis of palpable purpura includes Henoch-Schonlein purpura (HSP), cryoglobulinemia or cryofibrinogenemia, polyarteritis nodosa (PAN), Wegener's granulomatosis, infections, and collagen vascular disorders. Giant cell arteritis being a large vessel vasculitis does not cause any purpura.